Pre tracheal and para tracheal LN are
1. Level I
2. Level II
3. Level IV
4. Level VI

Correct answer: 4. Level VI